Coloured halos are seen in all, except –
1. Cataract
2. Angle closure glaucoma
3. Corneal edema
4. Corneal opacity

Correct answer: 4. Corneal opacity

Explanation: Causes of coloured halos

Corneal edema
Glaucoma (elevated IOT)
Closed-angle glaucoma
Open-angle glaucoma
Early stages of cataract
Too intense exposure to light (snow blindness)
Vitreous opacities :- hemorrhage, asteroid bodies
Asymmetric placement of intraocular lens
Mucopurulent conjunctivitis
Epiphora
Hypoglycemia
Myopia
Foreign body
Drugs
Corticosteroids
Amiodarone
Digoxin
Chloroquine
OCPs